False about MTP is-
1. Illegal if > 20 weeks of pregnancy
2. Requires opinion of at least two gynaecologists when pregnancy exceeds 12 weeks
3. > 16 weeks, hysterotomy can be done
4. Consent of husband is must

Correct answer: 4. Consent of husband is must

Explanation: Ans. is 'd' i.e.. Consent of husband is must MEDICALTERMlISATiOM OF PREGNANCYRecommendations:o A registered medical practitioner is Qualified to perform MTP provided:One has assisted in at least 25 MTPs in an authorized centreand having a certificate.One has got 6 months house surgeon training in obstetrics and gynaecologyOne has got Diploma or Degree in obstetrics and gymaecology-'.o Terminations can only be performed in hospitals established and maintained by Government, or places approved by the Government.o Pregnancy can only be terminated on the written consent of woman. Husband's consent is not required,o Pregnancy in a minor girl (below the age of ISyrs.) or lunatic cannot be terminated without written consent of the parents or legal guardian.o Termination is permitted upto 26 weeks of pregnancy. When the pregnancy exceeds 12 weeks, opinion of two medical practitioners is required,o The abortion has to be performed confidentially and has to be reported to the Director Of Health Services of the State in the prescribed form.Methods of termination of second trimester pregnancy:o Prostaglandins : Misoprostol, Carboprost, Dinoprosioneo Dilatation and Evacuationo Intrauterine instillation of hyperosmotic solutionso Oxytocin infusiono Hysterotomy